True about Broca's aphasia are all except
1. Non-fluent
2. Labored
3. Repetition impaired
4. Comprehension impaired

Correct answer: 4. Comprehension impaired

Explanation: Broca's Aphasia: Speech is nonfluent, laboured, interrupted by many word-finding pauses, and usually dysarthric. It is impoverished in function words but enriched in meaning-appropriate nouns.ComprehensionRepetition of SpokenLanguageNamingFluencyWernicke'sImpairedImpairedImpairedPreserved or increasedBroca'sPreserved (except grammar)ImpairedImpairedDecreasedGlobalImpairedImpairedImpairedDecreasedConductionPreserved ImpairedImpairedPreserved Ref: Harrison 19e pg: 177